During DCR surgery, an osteotomy was done in the anterior and superior region. Which area does it accidentally open into?
1. Anterior Ethmoidal Sinus
2. Maxillary Antrum
3. Superior Meatus
4. Middle Meatus

Correct answer: 1. Anterior Ethmoidal Sinus

Explanation: COMPLICATIONS OF CONVENTIONAL EXTERNAL DACRYOCYSTORHINOSTOMY: Persistent or recurrent tearing (most common complication) Bleeding following an infratrochlear block due to damage of anterior ethmoidal artery (2nd most common complication) Post-operative subcutaneous or subperiosteal hematoma near the incision site. CSF leak as a rare complication Postoperative infections requiring prophylactic antibiotics Secondary failure of DCR due to rhinostomy closure/insufficient size of osteotomy (mitomycin c improves success rates) Osteotomy opening into anterior ethmoidal air cells (in 46% of DCR surgeries)